Progression of dental caries on pit and fissure occurs from
1. Apex of the pit and fissure
2. Wide end of the pit and fissure
3. Lateral surface of the pit and fissure
4. Bottom of the pit and fissure

Correct answer: 3. Lateral surface of the pit and fissure